A patient meets with an accident with resultant transection of the pituitary stalk; what will NOT Occur -
1. Diabetes mellitus
2. Diabetes insipidus
3. Hyperprolactinemia
4. Hypothyroidism

Correct answer: 1. Diabetes mellitus